Le Forte fracture having craniofacial dysjunction is
1. Type-I
2. Type-II
3. Type-III
4. None

Correct answer: 3. Type-III

Explanation: (C) Type-III # They are classified into 3 types:> Le Fort I (transverse) fracture runs above and parallel to the palate. It crosses lower part of nasal septum, maxillary antra and the pterygoid plates.> Le Fort II (pyramidal) fracture passes through the root of nose, lacrimal bone, floor of orbit, upper part of maxillary sinus and pterygoid plates. This fracture has some features common with the zygomatic fractures.> Le Fort III (craniofacial dysjunction). There is complete separation of facial bones from the cranial bones. The fracture line passes through root of nose, ethmofrontal junction, superior orbital fissure, lateral wall of orbit, frontozygomatic and temporozygomatic sutures and the upper part of pterygoid plates.